Cock's peculiar tumor is:
1. Basal cell carcinoma
2. Squamous cell carcinoma
3. Infected sebaceous cyst
4. Cylindroma

Correct answer: 3. Infected sebaceous cyst

Explanation: * Cock's peculiar tumor - Infected sebaceous cyst of scalp * Potts puffy tumor - Osteomyelitis of skull bone - Involved part - frontal bone * Pilomatrixoma - AKA calcifying epithelium of malherb - Benign hair follicle derived tumor * Cylindroma - AKA turban tumor as it appears like turban histologically